As a part of space-research program, a physiologist was asked to investigate the effect of flight-induced stress on blood pressure. Accordingly, the blood pressure of the cosmonauts were to be measured twice: once before the take-off and once after the spacecraft entered the designated orbit around the earth. For a proper comparison, the preflight blood pressure should be recorded in which position?
1. The sitting position
2. The standing position
3. The lying down position
4. Any position, as long as the post-flight recording is made in the same position

Correct answer: 3. The lying down position

Explanation: In the space there is no gravity. In order to compare the blood pressure taken preflight and the one in the space, BP should be taken in a position where gravity is nullified. In lying position the gravitational force is nullified, so preflight BP measurement should be done in the lying down position. In supine position, legs are at the same level as the heart so that the gravitational forces that come into play in the upright position are diminished. When a person is lying on his back, the tricuspid valve is located at almost exactly 60% of the chest thickness in front of the back. This the zero pressure reference level. Ref: High-Yield Physiology, Part 845, Volume 2008 By Ronald W. Dudek, Page 51; Essentials Of Medical Physiology By Khurana, Page 185.